A baby presents with diarrhea and perianal diaper area redness. Diagnosis is
1. Lactose intolerance
2. Shigella diarrhea
3. Salmonella
4. Fungal

Correct answer: 1. Lactose intolerance

Explanation: In Lactose intolerance, there is a deficiency of the enzyme lactaseSo there is no natural breakdown of lactose - a carbohydrate present in milkThis causes diarrheaThe stool contains reducing sugar which causes perianal excoriation(Refer: Nelson's Textbook of Pediatrics, SAE, 1st edition, pg no. 1876)